Contributory negligence is related with:
1. Eggshell skull rule
2. Master servant rule
3. Avoidable consequences rule
4. Common knowledge rule

Correct answer: 3. Avoidable consequences rule

Explanation: Contributory Negligence: Negligence of both patient and doctors. For e.g Doctor puts tight plaster on patient (Doctor Negligent). The patient develops numbness but does not inform doctor and suffers injury (patient negligent). It is a defence only in civil negligence and has no place in criminal negligence. Other rules related to Contributory Negligence Last clear chance doctrine--Both doctor and patient are negligent but doctor had the last chance to avoid injury but he did not use this chance. Doctor will have to pay damages Avoidable consequences rule: Negligence of patient occurs after he has sued the doctor for negligence. The doctor will not be responsible for the further damaged caused by negligence of patient. Patient should have taken appropriate steps to reduce the further consequences of injury